In severe exercise, decrease in pH is due to
1. Respiratory acidosis
2. Lactic acidosis
3. H+ retension
4. HC03- excretion

Correct answer: 2. Lactic acidosis

Explanation: In case of sever exercise, lactic acid deposits in muscles due to anaerobic respiration by white muscle fibers, This results in fatigue Ref:Guyton and Hall textbook of medical physiology 12th edition ,pag number:96